The drug contraindicated in variant angina is
1. Aspirin
2. GTN
3. Propranolol
4. Nicorandil

Correct answer: 3. Propranolol

Explanation: Beta blockers are contraindicated invariant or vasospastic angina as they produce vasoconstriction by blocking beta 2 receptors which produce vasodilatation Also, the unopposed action of alpha receptor activation can l.t vasoconstriction. Ref: Katzung 13th ed Pg: 203-206